Most common site of gastrointestinal carcinoid is -
1. Duodenum
2. Appendix
3. Ileo-Jejunum
4. Stomach

Correct answer: 3. Ileo-Jejunum

Explanation: Answer- C. Ileo-JejunumCarcinoid tumors arise from the neuroendocrine cells (Argentaffin cells or Kulchitsky cells).The majority are found in GI tract, and more than,l0% in small intestine (jejunum & ileum).The tracheobronchial tree and lungs are the next common sites involved.